Which drug doesn't include DMARD -
1. Chloroquine
2. BAL
3. Azathioprine
4. Leflunomide

Correct answer: 2. BAL

Explanation: Ans. is 'b' i.e., BAL Drugs used for Rrheumatoid arthritisDisease modifying antirheumatic drugs DMARDs)Biologic response modifier (BRMs)Adjuvant drugs1. Immunosuppresants - Methotrexate, azathioprine, cyclosporineo TNF a - inhibitors Etanercept, Infliximab, Adalimumabo Corticosteroids o NSAIDs2. Sulfasalazine 3. Choloroquine or hydroxychloroquineo IL-1 antagonist Anakinra4. Leflunomide5. Gold, sod. thiomalate, Auranofin 6. d - Penicillamine